Enzyme deficient in occulocutaneous albinism type 1 is -
1. Tyrosinase
2. Pink protein
3. Tyrosinase related protein 1
4. Membrane associated transport protein (MATP)

Correct answer: 1. Tyrosinase

Explanation: Ans. is 'a' i.e., Tyrosinase Characteristics of AlbinismDiseaseChromosomeGene locusProtein {Biogenesis of lysome-related Organelles complex (BLOC)]Distinguishing signsOculocutaneous albinism type 11 lq21TYRTyrosinase/TYRType lA-no pigment Type 1 B-some pigmentOculocutaneous albinism type 215q11 2-q12PPink protein/PSome pigmentation apparent: nevi and freckles possibleOculocutaneous albinism type 39p23TYPR1Tyrosinase-related protein 1/TYRP1Similar to OCAZ phenotype includes rufous (red) albinism phenotypeOculocutaneous albinism type 45pMATPMembrane-associated transporter protein/MATPSimilar to OCAZ phenotype most common in individuals with Asian biogeographic ancestry.Chediak-Higashisyndromelq43LYSTLysosome trafficking/LYSTGiant peroxidase-positive lysosomal granules in neutrophils